True about sample registration system are all except?
1. It is same as census
2. It is dual record system
3. It provides reliable estimate of birth rate and death rate
4. Independent retrospective half - yearly

Correct answer: 1. It is same as census